Rigor mortis starts in:
1. Eyelids
2. Heart
3. Voluntary muscle
4. Limbs

Correct answer: 2. Heart

Explanation: Ans. Heart